Intra oral vertical ramus osteotomy is done for
1. Anterior open bite
2. Mandibular advancement
3. Mandibular set back
4. Maxillary deformity

Correct answer: 3. Mandibular set back